Pressure in ventouse assisted delivery is:
1. 0.4 kg/sq.cm
2. 0.6 kg/sq.cm
3. 0.8 kg/sq.cm
4. 1.0 kg/ sq.cm

Correct answer: 3. 0.8 kg/sq.cm

Explanation: Ans. C: 0.8 kg/sq.cm A. Indications Suspicion of fetal compromise (e.g. nonreassurig Fetal Heart Tones) Maternal exhaustion Prolonged second stage of labor The pressure is gradually raised at the rate of 0.1 kg/sq.cm per minute until the effective vacuum of 0.8 kg/sq.cm is achieved in about 10 minutes time. B. Contraindications Cephalopelvic Disproportion Fetal head not engaged Gestational age earlier than 34 weeks Known fetal disorders predisposing to complication -Bone mineralization disorders, Bleeding Disorder Malpresentation-Noncephalic presentation, Face Presentation (Occipitoposterior presentation is not a contraindication to vacuum Assisted Delivery) C. Precautions Vacuum can do as much or more damage as forceps D. Criteria to discontinue (prevent Subgaleal Hemorrhage): No progress after 3 pulls No baby extraction in 30 minutes after initiation Cup disengages 3 times Significant fetal scalp or maternal trauma